Nutrient artery to fibula is -
1. Poplitel artery
2. Anterior tibial
3. Peroneal artery
4. Dorsalis pedis

Correct answer: 3. Peroneal artery

Explanation: (C) (Peroneal artery) (29, 110 BDC-2 (488 Snell 9th)* Nutrient artery to fibula - Peroneal artery* Nutrient artery to tibia - Posterior tibial* Nutrient artery to the femur - derived from the second perforating artery branch of profunda femoris rtery.Peroneal Artery -is a large artery that arises close to the origin of the posterior tibial artery. It descends behind the fibula, either within the substance of the FHL muscle or posterior to it. The peroneal artery gives off numerous musclar branches and a nutrient artery to the fibula and ends by taking part in the anastomosis around the ankle joint.Nutrient arteriesFemur2nd perforating branch of profunda femorisTibiaBranch of posterior tibialFibulaPeroneal artery - branch of posterior tibialHumerusBranch of profunda brachiiRadius/ulnaAnterior interosseus artery-br. of ulnar artery